Indications of circumcision are all except:
1. Balanoposthitis
2. Religious beliefs
3. Peyronie's disease
4. Paraphimosis

Correct answer: 3. Peyronie's disease

Explanation: Indications of Circumcision Phimosis Religion (Jews and Muslims) Paraphimosis Balanitis or balanoposthitis Recurrent UTI BXO (balanitis xerotica obliterans)